The cardiac jelly formed around the heart tube during early development, contributes to the formation of:
1. Pericardium
2. Mesocardium
3. Myocardium
4. Endocardial cushion valves

Correct answer: 4. Endocardial cushion valves

Explanation: Prior to looping, the acellular space between the myocardium and endocardium in the heart is filled with a deformable extracellular matrix, the cardiac jelly, secreted by the myocardium. Radioactive labeling demonstrates that proteins produced in the myocardium flow toward the endocardium and are incorporated into the basal lamina. The cardiac jelly has a variety of functions related to hemodynamic performance, cardiac looping, and cell migration in cardiac septation and formation of the endocardial cushion valves at the atrioventricular (AV) junction and outflow tract of the heart. Ref: Keller B.B., Markwald R.R., Hoying J.B. (2011). Chapter 9. Molecular Development of the Heart. In V. Fuster, R.A. Walsh, R.A. Harrington (Eds), Hurst's The Heart, 13e.